Which of the following is supplied by the third cranial nerve ?
1. Superior oblique
2. Inferior oblique
3. Lateral rectus
4. Dilator papillae

Correct answer: 2. Inferior oblique